Highest maternal mortality is associated with:
1. AS
2. VSD
3. Fallot's Tetralogy
4. Pulmonary Hypertension

Correct answer: 4. Pulmonary Hypertension

Explanation: Clarke's Classification for Risk of Maternal Mortality Caused by Various Heart Diseases Cardiac Disorder Mortality (%) Group - 1 - minimal risk Atrial septal defect Ventricular septal defect Patent ductus arteriosus Pulmonic or tricuspid disease Fallot tetralogy, corrected Bioprosthetic Valve Mitral stenosis, NYHA classes 1 and 2 0-1 Group 2 - moderate risk Mitral stenosis, NYHA classes III and IV Aortic stenosis Aortic coarctation without valvular involvement Fallot tetralogy, uncorrected Previous myocardial infarction Marfan syndrome, normal aorta Mitral stenosis with atrial fibrillation Artificial valve 5-15 Group 3 - Major risk Pulmonary hypertension (Primary and secondary) Aortic coarctation with valvular involvement Marfan syndrome with aortic involvement 25-50